Raynaud's phenomenon is seen in:
1. Scleroderma.
2. Lupus erythmatosus.
3. Both.
4. None.

Correct answer: 3. Both.